Perineal body muscles include all of the following except-
1. External anal sphincter
2. Levator ani
3. Deep transverse perenei
4. Iliacus

Correct answer: 4. Iliacus

Explanation: Ans. is 'd' i.e., Iliacus Perineal body* Perineal body is the central point of the perineum.* It is a fibromuscular node situated in the median plane, about 1.25 cm in front of the anal margin and close to the bulb of penis.* Ten muscles of the perineum converge and interlace in the perineal body -A) Two unpaired:- (i) External anal sphincter, (ii) Fibres of longitudinal muscle coat of anal canal.B) Four paired :- (i) Bulbospongiosus, (ii) Superficial transverse perenei, (iii) Deep transversus perenei, (iv) Levator ani.# In females, sphincter urethrovaginalis is also attached here.